Which condition is associated with S-100 marker?
1. Multiple myeloma
2. Malignant melanoma
3. Prostate carcinoma
4. Medullary carcinoma thyroid

Correct answer: 2. Malignant melanoma

Explanation: Ans is 'b' i.e. Malignant melanoma Markers for melanocytes1) S-100 - 90% of tumors are positive2) HMB-45 - More specific but less sensitive than S-1003) TA-904) Tyrosinase5) Microphthalmia transcription factor 6) Melan-A